The most common cause of anterior compartment syndrome is
1. Fractures
2. Post ischaemic swelling
3. Superficial injury to muscles
4. Operative trauma

Correct answer: 1. Fractures

Explanation: A i.e. Fracture